Xeno transplantation of heart in human being, which of the animal heart has been used?
1. Pig
2. Horse
3. Dog
4. Rabbit

Correct answer: 1. Pig

Explanation: Ans. (a) PigRef: Internet Source* Xeno transplant of Piglet heart is tried and has shown successful survival in humans for 200 days.* Pigs were chosen because their anatomy is more or less same like human anatomy.